Berlin's edema is due to -
1. Blunt trauma to eye
2. Extradural hemorrhage
3. Choroidal melanoma
4. Parsplanitis

Correct answer: 1. Blunt trauma to eye

Explanation: Ans. is 'a' i.e., Blunt trauma to eye o Berlin's edema (commotio retinae) is a common condition caused by blunt injury to the eye. It is characterized by decreased vision in the injured eye a few hours after the injury. Under examination the retina appears opaque and white in colour in the periphery but the blood vessels are normally seen. Cherry-red' spot in the foveal region may be seen.